All are cavitating lesions in the lungs, except
1. Caplan's syndrome
2. Hamartoma
3. Wegner's granuloma
4. Squamous cell carcinoma

Correct answer: 2. Hamartoma